Loeffler's syndrome Is characterized by-
1. Transient, migratory pulmonary infiltrations
2. Fibrosis in the pulmonary apices
3. Fibrosis in the base of one or both lungs
4. Miliary mottling

Correct answer: 1. Transient, migratory pulmonary infiltrations

Explanation: Loeffler's syndrome is a benign,acute eosinophilic pneumonia of unknown cause(idiopathic/primary eosinophilic pneumonia) characterised by transient migrating pulmonary infiltrates and minimal clinical manifestations. Loefflers syndrome caused by ascaris,hookworm,schistosomiasis. symptoms include dyspnea,cough,wheeze,HEMOPTYSIS which are self limited. Reference:Harrison's Medicine-20 edition,page no:1975.